Danazol has which of the following actions -
1. Weak androgenic
2. Progestational
3. Anabolic
4. All the above

Correct answer: 4. All the above

Explanation: Ans. is 'd' i.e., All the above Danazoleo It has weak androgenic, anabolic and progestational activity.o The most prominent action is suppression of gonadotropin (FSH/LH) from pitutary in both men and women - inhibition of testicular/ovarian function.o Uses are :1. Endometriosis (major use)2. Menorrhagia3. Fibrocystic breast disease4. Hereditary angioneuretic edema5. Infertilityo Side effects are complete amenorrhoea, androgenic effects (acne, hirusitism, decreased breast size, deepening of voice, edema, weight gain), loss of libido in men, hot flushes in women, night sweats and muscle cramp,o Liver enzvme may be raised.